A young lady is present with H/O repeated episode of overeating followed by purging using laxatives, she probably suffering from -
1. Bulimia nervosa
2. Schizophrenia
3. Anorexia nervosa
4. Benign eating disorders

Correct answer: 1. Bulimia nervosa

Explanation: Bulimia nervosa is characterized by episodes of uncontrollable excessive eating (binge) followed by vigorous weight- reducing measures like self-induced vomiting, purgative abuse etc.
Note:- Eating binge followed by self-induced vomiting or purgative abuse can also be seen in anorexia nervous, but it is not the characteristic feature of anorexia nervosa. The characteristic presenting feature of anorexia nervosa is self-imposed dietary restrictions.